The use of condom for protection against sexually transmitted diseases qualifies as -
1. Primordial prevention
2. Health promotion
3. Specific protection
4. Secondary prevention

Correct answer: 3. Specific protection

Explanation: This is an example of primary prevention since we are trying to prevent the occurrence of the disease though the risk factors are present. Since use of condom will provide protection only against STI and not other conditions, it is specific protection.